All of the following are clinical finding of Kwashiorkor except
1. Seen soon after birth below 1 year
2. Appetite is poor
3. Presence of edema
4. Crazy pavement dermatosis seen

Correct answer: 1. Seen soon after birth below 1 year

Explanation: Kwashiorkor is in the age of 1 - 4 years. It is protein deficiency malnutrition seen in children who are weaned from mother's breast milk.